lnfants of diabetic mothers are likely to have the following cardiac anomaly
1. Coarctation of aorta
2. Fallot's tetralogy
3. Ebstein's anomaly
4. Transposition of great arteries

Correct answer: 4. Transposition of great arteries

Explanation: Cardiac anomalies are one of the most common anomalies seen in infants of diabetic mothers with poor glycemic control Specific cardiac anomaly seen is Transposition of great arteries Cardiovascular anomalies in Diabetes VSD, ASD Coarctation of aorta Situs inversus Fallot's Tetralogy Single Ventricle Transposition of great vessels Reference: D. C. Dutta's Textbook of Obstetrics; 7th edition, Chapter 19